A child presents with sudden loss of vision with painful ocular movements. The eye is white and there are no obvious signs on ophthalmoscopy. The most likely diagnosis is
1. Optic nerve glioma
2. Retrobulbar neuritis
3. Craniopharyngioma
4. Eales disease

Correct answer: 2. Retrobulbar neuritis

Explanation: B i.e. Retrobulbar neuritis